In Nephrotic syndrome, all serum proteins are reduced except"
1. Transferrin
2. Fibrinogen
3. Albumin
4. Ceruloplasmin

Correct answer: 2. Fibrinogen

Explanation: Ans. is 'b' FibrinogenExplained earlier.